Which of the following is true for receptor action of a drug:
1. An antagonist has both intrinsic activity and affinity for receptor
2. An antagonist has affinity but no intrinsic activity for receptor
3. A partial antagonist has no intrinsic activity or affinity for receptor
4. Intrinsic activity and affinity are not important for drug action

Correct answer: 2. An antagonist has affinity but no intrinsic activity for receptor